Most arterial emboli originate from which one of the following sites?
1. Cardiac valve
2. Left atrium
3. Left ventricle
4. Thoracic aorta

Correct answer: 2. Left atrium

Explanation: Most arterial emboli originate in the heart. The most common intracardiac site is the left atrium, in which thrombi form because of stasis in patients with atrial fibrillation, mitral valvular disease, or both. Left ventricular thrombi are a potential source of embolism in patients with myocardial infarction, left ventricular aneurysm, congestive heart failure, or cardiomyopathy.